Which of the following is increased in lipoprotein lipase deficiency -
1. VLDL
2. LDL
3. HDL
4. Chylomicrons

Correct answer: 4. Chylomicrons

Explanation: Ans. is 'd' i.e., Chylomicrons (Ref: Chatterjae S^/ep. 451; Harrison 18th/e p. 3149, 3/50]o Lipoprotein lipase deficiency (Type I hyperlipoproteinemia) results in increased level of ehylomicrones. Type IType IIaType IIbType IIIType IVType VProblemo Decreased lipoprotein lipase or Apo C-IIo LDL receptor deficiencyo | LDL receptor, increased Apo B-100o Defect in Apo-Eo Increased VLDL production and decreased elimination (Due to apo V deficiency)3 Same as in type IV, but more severeLipoproteino Elevated chylomicrons(also VLDL somerimes)o |LDLo|VLDLo |LDLo Increased chylomicron remnants and 1DLo |VLDLo |VLDL and chylomicronCholesterol|||||||||N|||Triglyceride||||N|||||||||NomenclatureFamilial lipoprotein lipase deficiencyo Familial hyper choleserolemiao Familial combined hyperlipidemiao Familial dys-beta lipoprei-nemiao Familial hyper-triglyceridemiao Endogenous hypertrigly-cedemia